All are true about Syndrome X, EXCEPT:
1. Hyperglycemia
2. Hypoinsulinemia
3. Abdominal obesity
4. Hypertriglyceridemia

Correct answer: 2. Hypoinsulinemia

Explanation: The metabolic syndrome --a state of insulin-resistance that is also known as either Syndrome X or the dysmetabolic syndrome. The metabolic syndrome includes any or all of the following: Hyperinsulinemia Type 2 diabetes or glucose intolerance Central obesity Hypertension Dyslipidemia that includes high triglyceride levels Low HDL-C level and small, dense low-density lipoprotein (LDL) particles Hypercoagulability characterized by an increased plasminogen activator inhibitor-1 (PAI-1) level